Shigellosis is best diagnosed by -
1. Stool examination
2. Stool culture
3. Sigmoidoscopy
4. Enzyme

Correct answer: 2. Stool culture

Explanation: Ans. is 'b' i.e., Stool culture Lah diagnosis of shigellosis"Diagnosis is made by isolating the bacillus from feces. "o Transport media# Sack s buffered glycerol salineo Culture# Specimens are inoculated on :MacConkey mediumDeoxycholate medium (DCA) - Selective mediumHektoen entric agar or salmonella-shigella agar - Selective medium.